T sign is seen in -
1. Genital TB
2. Membrane in twin pregnancy
3. Molar pregnancy
4. Choriocarcinoma

Correct answer: 2. Membrane in twin pregnancy

Explanation: Ans. is 'b' i.e., Membrane in twin pregnancyo 'T sign' refers to appearance of the inter-twin membrane in a monochorionic twin pregnancy.